What is the common location of Singer's nodule on vocal cords?
1. Junction of anterior 2/3 and posterior 1/3 vocal cords
2. Junction of anterior 1/3 and posterior 2/3 vocal cords
3. Middle of anterior 1/3 and posterior 2/3 vocal cords
4. Any where

Correct answer: 2. Junction of anterior 1/3 and posterior 2/3 vocal cords

Explanation: Vocal cord nodules are a frequent cause of deterioration in the voice quality of individuals who use their voices professionally, particularly singers; these nodules are commonly referred to as "singers' nodules." They appear symmetrically on the free edge of vocal cord, at the junction of anterior one third, with the posterior two thirds, as this is the area of maximum vibration of the cord and thus subject to maximum trauma. Treatment strategies should be conservative; speech therapy is the primary treatment.